Developmental milestone attained at 9 months of age is
1. Knows full name and gender
2. Monosyllables
3. Builds tower of 2 blocks
4. Stands with support

Correct answer: 4. Stands with support

Explanation: Developmental milestones:-
GROSS MOTOR DEVELOPMENT:
2 months: Holds head in the plane of rest of the body when held in ventral suspension. In the prone position in bed, the chin lifts momentarily.
3 months: lift head above the plane of the body. Head control starts by 3 months and fully developed by 5 months.
4 months: Remain on forearm support if put in prone position, lifting the upper part of the body off the bed.
5 months: Rolls over.
6 months: sit in a tripod fashion.
8 months: sits without support., crawling
9 months: Takes a few steps with one hand held. Pulls to standing and cruises holding on to furniture by 10 months. 
10 months: creeps
12 months: creeps well, walk but falls, stand without support.
15 months: walks well, walks backward/ sideways pulling a toy. May crawl upstairs.
18 months: Runs, walks upstairs with one hand held. Explores drawers.
2 years: walk up and downstairs, jumps.
3 years: rides tricycle, alternate feet going upstairs.
4 years: hops on one foot, alternate feet going downstairs.
5 years: skips
FINE MOTOR DEVELOPMENT:-
2 months- eyes follow objects to 180 deg.
3 months-Grasp reflex disappears and hand is open most of the time.
4 months- Bidextrous approach( reaching out for objects with both hands).
6 months- Unidextrous approach( Reach for an object with one hand).
8 months- radial grasp start to develop. Turns to sound above the level of ear.
9 months- immature pincer grasp, probes with the forefinger.
12 months- Unassisted pincer grasp. Releases object on request.Uses objects predominantly for playing, not for mouthing. Holds block on each hand and bang them together.
15 months- imitate scribbling, tower of two blocks.
18 months- scribbles, tower of 3 blocks. turn pages of a book, 2-3 at a time.
2 years- tower of 6 blocks, vertical and circular stroke.
3 years- tower of 9 blocks, dressing and undressing with some help, can do buttoning.
4 years- copies cross, bridge with blocks.
5 years- copies triangle, gate with blocks.
SOCIAL AND ADAPTIVE MILESTONES:
2 months: social smile(smile after being talked to).watches mother when spoken to and may smile.
3 months: recognizes mother, anticipates feeds.
4 months: holds rattle when placed in hand and regards it. Laughs aloud. Excited at the sight of food.
6 months: recognizes strangers, stranger anxiety. Enjoy watching own image in the mirror, shows displeasure when toy pulled off.
9 months: waves bye bye.
12 months: comes when called, plays a simple ball game. kisses the parent on request. Makes postural adjustments for dressing.
15 months: jargon, starts imitating mother. 
18 months: copies parents in tasking, dry by day, calls mother when he wants potty, points to three parts of the body on request.
2 years: ask for food, drink, toilet, pulls people to show toys.
3 years: shares toys, know full name and gender, dry by night.
4 years: Plays cooperatively in a group, goes to the toilet alone, washes face, brushes teeth. Role play.
5 years helps in the household task, dresses and undresses.
LANGUAGE MILESTONES:
1 month: alerts to sound.
2 month: respond to sound by startle or quietening to a smooth voice.
3 months: babbles when spoken to. Makes sounds (ahh, coos, ) laughs.
4 months: laughs aloud.
6 months: monosyllables
9 months: understands spoken words, bisyllables.
12 months: 1-2 words with meaning.
18 months: a vocabulary of 10 words. Can name one part of the body.
2 years: 3-word simple sentences.
3 years: asks questions, knows full name and gender.
4 years: says songs or poem, tells a story, knows three colors.
5 years: ask the meaning of words.